Dinner fork deformity is seen in -
1. Colies fracture
2. Supracondylar fracture of Humerus
3. Smith's fracture
4. Volar Barton Fracture

Correct answer: 1. Colies fracture

Explanation: Ans. is 'a' i.e., Colles fracture DeformityAssociated fracture / conditionGarden Spade DeformitySmiths FractureGun stock deformityCubitus varus commonly due supracondylar humerus fractureDinner fork deformityColles FractureGenu VarumBlounts disease